False about hepatic adenoma
1. Chance of malignancy in 10% cases
2. Rupture in 20% cases
3. Hepatic architecture is maintained
4. Most patients are symptomatic

Correct answer: 3. Hepatic architecture is maintained

Explanation: Clinical features Symptomatic ( upper abdominal pain) in 50-75%, related to hemorrhage or local compressive symptoms Two major risks - Rupture and malignant transformation Pathology Composed of cords of benign hepatocytes containing increased glycogen and fat, without bile ductules, fibrous septa, portal tracts or central vein Normal architecture of the liver is not seen in these lesions Central large plates of hepatocytes separated by dilated sinusoids which are perfused solely by peripheral arterial feeding vessels(lack portal venous supply), under arterial pressure Hemorrhage and necrosis are commonly seen